Merimepodib is intended for use as:
1. Antiviral
2. Antifungal
3. Antipsychotic
4. Immunomodulator

Correct answer: 1. Antiviral

Explanation: Investigational agents for the treatment of HCV infection are multiple and include inhibitors of the HCV RNA polymerase such as valopicitabine, PIs such as telaprevir, the ribavirin analogs merimepodib and viramidine, an anti-aminophospholipid antibody, a caspase inhibitor, and the immunomodulator thymosin alpha-1. Ref: Katzung 11th edition Chapter 49.